In epidemic, 1st step is?
1. Verification of diagnosis
2. Isolation
3. Immunization
4. Notification

Correct answer: 1. Verification of diagnosis

Explanation: The steps in epidemic investigation are :

Verification of diagnosis
Confirmation of the existence of epidemic
Defining the population at risk
Obtaining a map of the area
Counting the population
Rapid search for all cases & their characteristics
Medical survey
Epidemiological case sheet
Searching for more cases
Data analysis
Formulation of hypothesis
Evaluation of ecological factors
Further investigation of population at risk
Writing the report